Drugs used in management of migraine include the following except?
1. Valproate
2. Ethosuximide
3. Topiramate
4. Verapamil

Correct answer: 2. Ethosuximide

Explanation: *Drugs that have been approved by the FDA for prophylactic treatment of migraine are propranolol,timolol,valproate,topiramate and methysergid Ref Harrison20th edition pg 2134